A material which is a mixture of two different materials and its properties are
1. Composite
2. Complex material
3. Combined
4. Compound

Correct answer: 1. Composite